Triangular relation of elbow is maintained in:
1. Fracture ulna
2. Anterior dislocation of elbow
3. Posterior dislocation of elbow
4. Supracondylar fracture of humerus

Correct answer: 4. Supracondylar fracture of humerus

Explanation: Triangular relation of elbow includes medial epicondyle, lateral epicondyle and tip of olecranon. The relationship is destroyed by dislocations of elbow. It is maintained in supracondylar fracture of Humerus (occurs above elbow joint)